Following is feature of Fuchs' heterochromic iridocyclitis -
1. Heterochromia of iris
2. Keratic precipitates
3. cataract
4. All the above

Correct answer: 4. All the above

Explanation: Fuchs' heterochromic iridocyclitis is a chronic non-granulomatous type of low grade anterior uveitis typically assosiated with early cataract formation. Clinical features: Heterochromia of iris, Diffuse stromal iris atrophy, (moth-eaten appearence), may cause transillumination defect, Fine stellate KPs at the back of cornea, Faint aqueous flare, Absence of posterior synechiae, A fairly common rubeosis iridis, sometimes assosiated with neovascularisation of the angle of anterior chamber, and Comparitively early development of complicated cataract and secondary glaucoma (usually popen angle type ) Ref:A K Khurana 6th edition pg:169